The posterior 1/3 of the tongue is supplied by....nerve
1. Hypoglossal
2. Chorda tymapni
3. Lingual
4. Glossopharyngeal

Correct answer: 4. Glossopharyngeal

Explanation: D i.e. Glossopharyngeal